Drug causing Reye syndrome:
1. Celecoxib
2. Aspirin
3. Diclofenac
4. Paracetamol

Correct answer: 2. Aspirin

Explanation: Ans. B. AspirinAspirin is non-selective irreversible COX inhibitor.it has antipyretic, analgesic and anti-inflammatory properties. Aspirin is known to cause salicylism in adults. It is contraindicated in children who are less than 12 years as they are at increased risk of Reye syndrome which include diarrhea, vomiting, seizure and loss of consciousness.